Mass in ear, on touch bleeding heavily, cause is -
1. Glomus Jugulare
2. Ca mastoid
3. Acoustic neuroma
4. Angiofibroma

Correct answer: 1. Glomus Jugulare

Explanation: The answer to this question is quite obvious as Glomus tumors are highly vascular tumors and bleed on Touch.